Which of the following is the ovarian counterpart of testicular seminoma -
1. Brener's tumor
2. Endodermal sinus tumor
3. Dermoid
4. Dysgerminoma

Correct answer: 4. Dysgerminoma

Explanation: Ans. is `d' i.e., DysgerminomaOvarian counterpart of testicular seminoma is dysgerminoma.